The most common complication of fracture neck femur is:
1. Non-union
2. Avascular necrosis
3. Arthritis of hip
4. Malunion

Correct answer: 2. Avascular necrosis

Explanation: Ans. B. Avascular necrosisAVN > Non-union > ArthritisIncidence wise, the AVN is the most common complication of fracture neck femur followed by non-union and then arthritis of the hip joint.